HIV positive patients present with the following appearance of the leg with a history of HHV-8 infection, what is the most
likely diagnosis?
1. Lymphoma
2. Kaposi sarcoma
3. Malignant melanoma
4. Non-Hodgkin's lymphoma

Correct answer: 2. Kaposi sarcoma

Explanation: Kaposi's sarcoma (KS) is a soft tissue sarcoma of vascular origin that is induced by the human herpesvirus 8.
The incidence of KS increased dramatically during the AIDS epidemic.